Which treatment plan would lead to rigid fixation of the fracture site?
1. Direct interdental wiring
2. Miniplates osteosynthesis
3. Eccentric compression plate osteosynthesis
4. IMF

Correct answer: 3. Eccentric compression plate osteosynthesis